Which of the following is not seen in Prader Willi syndrome.
1. Intellectual disability
2. Short stature
3. Hypotonia
4. Inappropriate laughter

Correct answer: 4. Inappropriate laughter

Explanation: Inappropriate laughter is a feature of Angelman syndrome.